Causative agent of angular conjunctivitis
1. Moraxella catarrhalis
2. Moraxella Lacunata
3. Gonococcus
4. Meningococcus

Correct answer: 2. Moraxella Lacunata

Explanation: Angular conjunctivitis commonly caused by Moraxella lacunata and S. Aureus.